Iloprost in pulmonary arterial hypertension is administered
1. Intravenous
2. Intramuscular
3. Oral
4. Inhalation

Correct answer: 4. Inhalation

Explanation: Ref Harrison 19 th ed pg 1666 Iloprost is a prostacyclin analogue approved inhalation for treatment of pulmonary arterial hypertension (PAH) Epoprostinil as iv treprostinil as oral /iv/SC/inhalation.